True about incompletely descended testis are all of the following except:
1. Early repositioning can preserve function
2. It may lead to sterility, if bilateral
3. Poorly developed secondary sexual characters
4. May be associated with indirect inguinal hernia

Correct answer: 3. Poorly developed secondary sexual characters

Explanation: Ans. C: Poorly developed secondary sexual charactersAssociated anomalies and conditions with cryptorchidism may include the following:Patent processus vaginalisAbnormal epididymisCerebral palsyIntellectual disabilityWilm's tumourAbdominal wall defects (e.g., gastroschisis, omphalocele, prune belly syndrome)HypospadiasisIn general, ductal abnormalities, hernias (patent processus vaginalis), and testicular maldevelopment are more common in patients with abdominal testes. Secondary sexual characters are typically normal.Overall, 32-79% of undescended testes are associated with some type of epididymal abnormality. However, abnormalities that inhibit sperm transport (e.g., complete caput separation, atresia, agenesis) have been reported in only 8% of patients with cryptorchidism.In addition, when the processus vaginalis is patent, the epididymis is more likely to be abnormal.Hazards of incomplete descent are:Sterility in bilateral cases (especially intra-abdominal testes)Pain as a result of traumaAn associated indirect inguinal hernia is often presentTorsionEpididymo-orchitis in an incompletely descended right testis can mimic appendicitis.Orchidopexy is usually performed after the age of 1 year.Early repositioning of an incompletely descended testis can preserve function.